Which muscles make up the pterygomandibular raphae?
1. Masseter anteriorly and occulomotor
2. Masseter anteriorly and middle pterygoid
3. Buccinator anterior and superior constrictor
4. Buccinator anteriorly and middle constrictor

Correct answer: 3. Buccinator anterior and superior constrictor